One of the following opens in the middle meatus of the nose
1. Naso-lacrimal duct
2. Eustachian tube
3. Sphenoidal air sinus
4. Maxillary air sinus

Correct answer: 4. Maxillary air sinus

Explanation: The middle meatus lies underneath the middle concha.it presents the following features: 1.the ethmoidal bulla is a rounded elevation produced by the underlying middle ethmoidal sinuses which open at upper margin of bulla. 2. Hiatus semilunar 3. Infundibulum 4. The opening of maxillary air sinus is located in posterior part of the hiatus semilunaris.it is often represented by two openings. 5. The opening of the anterior ethmoidal air sinus is present behind the opening of frontal air sinus 6. The opening of frontal air sinus is seen in the anterior part of hiatus semilunar Ref.BDC volume 3.Sixth edition pg 243